The venous plexus of uterus is related to which of the following border/ surface of uterus ?
1. anterior surface of uterus
2. posterior surface of uterus
3. lateral border of uterus
4. anterior surface of cervix

Correct answer: 3. lateral border of uterus

Explanation: Venous Drainage - The veins form a plexus along the lateral border of the uterus. The plexus drains through the uterine, ovarian and vaginal veins into the internal iliac veins. Ref : B D Chaurasia's Human Anatomy , seventh edition ,volume 2 , pg. no., 422.